Commonest source of extradural hemorrhage:
1. Middle meningeal artery
2. Basilar artery
3. Charcot's artery
4. Middle cerebral artery

Correct answer: 1. Middle meningeal artery

Explanation: Ans. Middle meningeal artery